Subluxation of lens occurs in
1. Down syndrome
2. Marfan's syndrome
3. Sturge Weber syndrome
4. Von-hipple syndrome

Correct answer: 2. Marfan's syndrome

Explanation: (Marfan's syndrome): (214- Khurana 5th, 68- Nema 6th/e)SUBLUXATED LENS -The lens is kept in its position by the suspensory ligaments if the ligaments are weak or improperly developed the lens get subluxedClinico-ctiological typesI. Congenital displacement(a) Simple ectopia lentis(b) Ectopia lentis et papillae(c) Ectopia lentis with systemic anomalies1. Marfan's syndrome**2. Homocystinuria3. Weil Marchesani syndrome4. Ehler s Danlos syndrome5. Hyperlysinaemia6. Stickler syndrome7. Sulphite oxidase deficiencyII. Traumatic displacement of the lens* Usually associated with concussion injuries* Couching is an iatrogenic posterior dislocation of lens performed as a treatment of cataract in olden days* Posterior dislocation of lens- Deep AC- Tremulousness of the iris- Floating lens in the vitreousIII Consecutive or Spontaneous displacementCommon conditions -* Hypermature cataract* Buphthalmos* High myopia* Staphyloma* Intraocular tumours* Uveitis